Predisposing factors for skin ca are – a) Lichen planusb) Bowen's diseasec) Psoriasisd) Bechet's diseasee) UV rays
1. abc
2. bcd
3. abe
4. acd

Correct answer: 3. abe

Explanation: Hypertrophic lichen planus and Bowen's disease are premalignant conditions of SCC of skin.
UV rays is the most important predisposing factor for SCC of skin.